In Leprosy which of the following is not seen:
1. Abnormal EMG
2. Voluntary muscle wasting
3. Decreased Proprioception
4. Decreased response to tactile sensation

Correct answer: 3. Decreased Proprioception

Explanation: C i.e. Decreased proprioception - Nerves commonly involved in leprosy are. - Posterior tibial is the most frequently affected nerve f/b ulnarQ, median, lateral popliteal and facial. Ulnar & median nerve lesions are usually lowQ, causing small muscles but not deep flexor weakness, & anesthesia of two halves of hand (Rook - 32.13) - The most commonly affected nerve trunk is ulnar nerve at elbowQ. Insensitivity affects fine touch, pain and heat receptors but generally spares position & vibrating appreciationQ (Harrison 1383) Generation time of lepra bacilli is 12 - 13 days. Maximum no. of bacilli is shed in nasal secretions. Virchow cells are diagnostic. Lepra cells (Foam cells) are large undifferentiated histiocytesQ. Ist involved is Schwann cell. Ist sensation lost is temperature & pain. Propioception is carried by Goll & Burdech tract (posterior column) which is not involved in leprosyQ. Temperature & painQ lost earlier than touch & pressure. Leprosy mainly affects peripheral nerves, eventually lit muscle wasting. Myopathy, muscle wasting may Vt abnormal EMGQ. Posterior tibial (most common)Q. Ulnar (2" most common, most commonly Vt abscess)Q Peroneal/lateral popliteal Median & Facial Posterior auricular Supra orbital, supraclavicular,